Negative acute phase reactant is:
1. C-reactive protein
2. Alpha-1 antitrypsin
3. Transferrin
4. Serum amyloid protein

Correct answer: 3. Transferrin